Theophylline is a
1. Mast cell stabilizer
2. Leukotriene antagonist
3. Phosphodiesterase inhibitor
4. Leukotriene synthesis inhibitor

Correct answer: 3. Phosphodiesterase inhibitor

Explanation: Theophylline- Phosphodiesterase inhibitor (inhibit the degradation of CAMP) Sodium cromoglycate is a mast cell stabilizer used for prophylaxis of asthma Montelukast and zafirlukast are leukotriene antagonist Zileuton is a LOX inhibitor